Increased Prothrombin time results from deficiency of -
1. Factor IX
2. Fibrinogen
3. Factor VI
4. Factor XI

Correct answer: 2. Fibrinogen

Explanation: Ans. is 'b' i.e., Fibrinogen o Tests used to evaluate different aspects of hemostasis :Bleeding timeo It is not a test for coagulation rathers it tests the ability of the vessels to vasoconstrict and the platelets to form a hemostatic plug.o It is the time taken for a standardized skin puncture to stop bleeding, o Normal reference value is between 2-9 minutes.o Prolongation generally indicates the defect in platelet number or function.Prothrombin time tPT)o This assay tests the extrinsic and common coagulation pathway.o So. a Prolonged PT can result from deficiency of factor V, VII, X, prothrombin or fibrinogen.Partial thromboplastin time (PTT)o This assay tests the intrinsic and common coagulation pathways.o So, a prolonged PTT. can results from the deficiency of factor V, VIII, IX, X, XI, XII, prothrombin or fibrinogen.Thrombin timeo It is the time taken for clotting to occur when thrombin is added to the plasma,o It tests the conversion of fibrinogen to fibrin and depends on adequate fibrinogen level,o Prolonged thrombin time results from decreased level of fibrinogen.